Foamy liver is seen in?
1. Chronic venous congestion
2. 2-3 days after death due to putrefaction
3. Aseptic autolysis of dead born fetus
4. Seen immediately after death in cyanide poisoning.

Correct answer: 2. 2-3 days after death due to putrefaction

Explanation: Foamy liver also called Honey comb liver occurs due to putrefactive changes and production of gas due to activity of bacteria.